Causes for primary hyperparathyroidism
1. Parathyroid carcinoma
2. Renal failure
3. Rickets
4. Malabsorption

Correct answer: 1. Parathyroid carcinoma